All of the following are supplied by facial nerve, EXCEPT?
1. Lacrimal gland
2. Submandibular gland
3. Sublingual glands
4. Parotid gland

Correct answer: 4. Parotid gland

Explanation: Facial nerve supplies the muscles of facial expression, supplies the anterior two third of the tongue with taste fibres and is secretomotor to the lacrimal, submandibular and sublingual.Secretomotor fibres to the parotid gland is supplied by glossopharyngeal nerve.